In which of the following, retina is not affected?
1. Retinal detachment
2. Coat's Disease
3. Primary optic-atrophy
4. Consecutive optic atrophy

Correct answer: 3. Primary optic-atrophy

Explanation: Retina is not involved in primary optic atrophy. Optic atrophy is the condition of disc when the optic nerve is degenerated. Optic atrophy is of two types: Primary atrophy and secondary atrophy. Primary optic atrophy: It is due to disease or poisoning of second visual neurons proximal to the disc evidence of local inflammation. Clinical Features of Primary optic atrophy: The disc is grey or white. Stippling of the lamina cribrosa is seen, edges are sharply defined and surrounding retina looks normal. Tabes is the classical cause of primary atrophy. Secondary optic atrophy follows any injury or direct pressure, affecting the visual fibre in any part of their course from the lamina cribrosa to the geniculate body. In consecutive optic atrophy retina is involved. causes like retinitis pigmentosa myopia central retinal artery occlusion